Calculate D3 for file with 2% taper, and D0 = 0.1 mm
1. 0.16 mm
2. 0.18 mm
3. 0.20 mm
4. 0.30 mm

Correct answer: 1. 0.16 mm